Without external cue, the sleep-wake cycle in humans
1. Unchanged
2. Continues with cycle length of > 24 hours
3. Continues with cycle length of < 24 hours
4. Continue with cycle length of > 12 hours

Correct answer: 2. Continues with cycle length of > 24 hours

Explanation: Normal sleep-wake cycle in humans- 24 hrs
When external cues (Light and darkness) removed, sleep-wake cycle- Slightly increased (>24hrs)